Rubella vaccination is contraindicated in all except-
1. Patient on immunosuppressant
2. Girl with Leukemia
3. Girls between 11-14 years
4. Pregnancy

Correct answer: 3. Girls between 11-14 years